Dependency ratio includes -
1. Less than 15 years
2. Less than 85 years
3. 30-50 years
4. None

Correct answer: 1. Less than 15 years

Explanation: Numerator in dependency ratio is age group less than 15 years (0-14 years) and more than 65 years.